True about cold abscess
1. Sign of acute inflammation present
2. Non - dependent incision is used
3. Suturing of wound is not done
4. Drain is placed

Correct answer: 2. Non - dependent incision is used

Explanation: Cold abscess :

No signs acute inflammation.
Tuberculous bacteria.
Nondependent incision is used.
Wound is sutured.
Drain is not placed (otherwise sinus will form which is difficult to treat).